The treatment of choice for an 8 mm retained common bile duct (CBD) stone is:
1. Laparoscopic CBD exploration
2. Percutaneous stone extraction
3. Endoscopic stone extraction
4. Extracorporeal shock wave lithotripsy

Correct answer: 3. Endoscopic stone extraction

Explanation: Treatment of Choledocolithiaisis Stone <1.5 cm --ERCP + Stone Removal ERCP is both diagnostic and therapeutic as stenting procedures may be done to alleviate the obstruction. Stone >1.5cm - Choledochotomy When distal obstruction is suspected- Choledochoduodenostomy